Hypertonic dehydration would result from:
1. G.I. fluid loss
2. Diabetes mellitus
3. Primary hypoadrenocoicalism
4. SIADH

Correct answer: 2. Diabetes mellitus

Explanation: ECF disturbance are of 2 types: Dehydration Overhydration DEHYDRATION: Isotonic dehydration Water & Na+ lost in equal proportion no shift of H2O k/o isotonicity of ECF seen in: GI fluid loss Burns Hemorrhage Hypertonic dehydration: H2O lost from ECF ECF becomes hypertonic H2O moves from ICF to ECF, and intracellular volume decreases seen in: Alcoholism Diabetes mellitus, diabetes insipidus. Hypotonic dehydration: H2O & Na+ lost but Na loss >>> H2O loss ECF becomes hypotonic, H2O moves to ICF compartment causing secondary increase in ICF volume seen in: 1deg hypoaldosteronism 1deg hypoadrenocoicism OVERHYDRATION / VOLUME EXPANSION: Isotonic overhydration: k/o administration of oral / IV isotonic saline Hypertonic overhydration: Administration of oral / IV hypertonic saline Hypotonic overhydration: SIADH - excess ADH secreted in euvolemic states that result in hypervolemia